Indication for relining of complete denture include alt, expect
1. Immediate denture at 3-6 months after their original construction
2. Patient cannot afford new denture
3. Abuse soft tissues are present
4. When the construction of new dentures with the multiple appointment cause physical and mental stress

Correct answer: 3. Abuse soft tissues are present